The concept of simple act of "Hand-washing between cases" was introduced by
1. Joseph Lister
2. Ignac Semmelweis
3. Holmes
4. Louis Pasteur

Correct answer: 2. Ignac Semmelweis

Explanation: (B) Ignac Semmelweis # Hand washing was introduced by Ignaz Philipp Semmelweis.> Austrian obstetrician Ignac Semmelweis showed that puerperal sepsis could be reduced from over 10% to under 2% by the simple act of hand-washing between cases, particularly between post-mortem examinations and the delivery suite.> Louis Pasteur recognised that micro-organisms were responsible for spoiling wine, turning it into vinegar.> Joseph Lister introduced hand washing with carbolic acid, a disinfectant.> Lister then experimented with hand-washing, sterilizing instruments and spraying carbolic in the theatre while operating, in order to limit infection. Lister introduced both Antiseptic Technique & Aseptic Technique.> His lowered infection rate was very good and Listerian principles were adopted throughout many countries by a number of surgeons.> Lister is now known as 'Father of Antiseptic Surgery'> Robert Koch laid down the first definition of infective disease (Koch's postulates).